Which clears and flushes food during inter-digestive period?
1. Gastrin
2. Migrating motor complex
3. Secretin
4. CCK

Correct answer: 2. Migrating motor complex

Explanation: a hormone released into the bloodstream by the duodenum (especially in response to acidity) to stimulate secretion by the liver and pancreas Ref: guyton and hall textbook of medical physiology 12 edition page number:414,415,416